False positive fistula test is associated with
1. Perilymph fistula
2. Malignant sclerosis
3. Congenital syphilis
4. Cholesteatoma

Correct answer: 3. Congenital syphilis

Explanation: False positive fistula test seen in: Congenital syphilis - Stapes footplate is hypermobile Meniere's disease - fibrous bands connecting uricular macula to Stapes footplate. Ref : Dhingra 7e pg 43.